The following is one of the mixed dentition analysis
1. Tanaka Johnson
2. Counterpart analysis
3. Bjork analysis
4. Plaster cast analysis

Correct answer: 1. Tanaka Johnson